Class III anti arrythmic drug is:
1. Amiodarone
2. Phenytoin
3. Propafenone
4. Pindolol

Correct answer: 1. Amiodarone